A 45-year-old man presents with two painless beefy red ulcers in the inguinal region, a biopsy and Giemsa stain reveal Donovan bodies, these findings are most consistent with? SELECT ONE
1. Behcet's syndrome
2. Glomus tumor
3. Renal agenesis
4. Granuloma inguinale

Correct answer: 4. Granuloma inguinale

Explanation: Granuloma inguinale is a lesion related to a contagious, sexually transmitted disease. Identification of Donovan bodies in tissue prepared with Giemsa stain establishes the diagnosis. Treatment is with tetracycline.